Which of the following is an execution caspase
1. Caspase 3
2. Caspase 5
3. Caspase 8
4. Caspase 9

Correct answer: 1. Caspase 3

Explanation: Ans. (a) Caspase 3(Ref: Robbins 9th/pg 56; 8th/pg 26)There are two executionary caspases 3 and 6.Most important executionary caspase is caspase 3